Appendicular artery is a branch of -
1. Iliocolic
2. Rt colic
3. Inferior mesenteric
4. Marginal artery

Correct answer: 1. Iliocolic

Explanation: Ans. is 'a' i.e., iliocolic o Appendicular artery is a branch of posterior cecal artery, a brach of iliocolic artery,o Appendicular art is an end artry, enters mesoappendix near the base,o Recurrent branch of appendicular artery' is artery of sheshchallan.1. Celiac trunk :a. Left gastric artery'b Splenic arteryo Left gastro-epiploic arteryo Short gastric arterieso Pancreatic arteriesc. Common Hepatic arteryo Right gastric arteryo Right and left hepatic artriesRight hepatic artery gives cysic arteryo Gastroduodenal arteryRight gastroepiploic arterySuperior pancreaticoduodenal artery2. Superior mesenteric artery :a. Inferior pancreaticoduodenal arteryb Middle colic arteryc. Right colic arteryd Ileocolic arteryo Anterior cecal arteryo Posterior cecal artery which gives appendicular arteryo Jejunal and ileal branches3.Infeior mesenteric artery :a. Superior rectal arteryb. Sigmoid arteryc. Left colic artery